Ramu a 2 year old boy, presented with cough, fever and difficulty in breathing. His RR 50/min. There was no chest indrawing. Auscultation of chest reveals bilateral crepitations. The most probable diagnosis is -
1. V. severe pneumonia
2. Severe Pneumonia
3. Pneumonia
4. No pneumonia

Correct answer: 3. Pneumonia

Explanation: Ans. is 'c' i.e., Pneumonia This child has :- i) Fast breathing ( 40 per minute in child 1-5 year old) ii)No chest indrawing o So, the child's diagnosis is pneumonia (not severe)